Watson-Jones approach is done for?
1. Neglected club foot
2. Muscle paralysis
3. Valgus deformity
4. Hip replacement

Correct answer: 4. Hip replacement

Explanation: (d) Hip replacement- Watson-Jones operation is anterolateral approach to the hip joint.There are four commonly used approaches to the hip joint:- Anterior or Smith-Peterson- commonly used to access the hip in cases of suspected septic arthritis - Anterolateral or Watson-Jones- is used for hemi or total hip arthroplasty - Direct lateral or Hardinge - Posterior or Southern approach